Sleep center is located in
1. Basal ganglia
2. Medulla
3. Hypothalamus
4. Cerebellum

Correct answer: 3. Hypothalamus

Explanation: Ans. (c) Hypothalamus(Ref: Ganong, 25th ed/p.273)Preoptic nucleus of hypothalamus particularly ventrolateral preoptic nucleus promotes sleep